Dimorphic fungi grow as molds at
1. 37°C
2. 32°C
3. 30°C
4. 25°C

Correct answer: 4. 25°C